In fracture of penis involving rupture of tunica albuginea with intact Buch's fascia following would be noted clinically?
1. Hematoma involving only the shaft of penis
2. Hematoma involving scrotum & perineal region
3. Penis, scrotum and abdominal wall
4. Penis scrotum & thighs.

Correct answer: 1. Hematoma involving only the shaft of penis

Explanation: Hematoma involving only the shaft of penis.Penile fracture is the disruption of the tunica albuginea with rupture of the corpus cavernosum.Penile fracture is most commonly seen during sexual intercourse (when the rigid penis slips out of the vagina and strikes the perineum or pubic bone), however it is also seen with masturbation, rolling over or falling on the erect penis and few other conditions.Patient describes a cracking or popping sound as the tunica tears, followed by immediate loss of penile rigidity and discoloration and swelling of penile shaft.If Buch's fascia remains intact, the hematoma involves the penile shaft only. This results in typical 'eggplant' deformityIf Buch's fascia is disrupted, hematoma can extend to the scrotum, perineum & suprapubic regions.The swollen, ecchymotic phallus often deviates to the side opposite the tunical tear because of hematoma and mass effect.The fracture line in the tunica albuginea may be palpable.Urethral injury may be seen with penile fracture.